Acetazolamide is
1. Competitive and reversible carbonic anhydrase inhibitor
2. Non-competitive and reversible carbonic anhydrase inhibitor
3. Competitive and irreversible carbonic anhydrase inhibitor
4. Non-competitive and irreversible carbonic anhydrase inhibitor

Correct answer: 2. Non-competitive and reversible carbonic anhydrase inhibitor

Explanation: Carbonic anhydrase inhibitor act by non-competitive but reversible inhibition of the enzyme. Examples include acetazolamide,dorazolamide and brinzolamide.